Investigation of choice for GERD:
1. USG
2. HIDA
3. Manometry
4. 24 hour pH monitoring

Correct answer: 4. 24 hour pH monitoring

Explanation: Ambulatory esophageal pH testing using a catheter method or a wireless capsule endoscopically attached to the esophageal wall is considered for drug-refractory symptoms and atypical symptoms like unexplained chest pain. High-resolution esophageal manometry is ordered when surgical treatment of GERD is considered. Manometry is for motility disorders. HIDA scan, also called cholescintigraphy or hepatobiliary scintigraphy, is an imaging test used to view the liver, gallbladder, bile ducts, and small intestine. USG is used to view layers of the internal organs- GB, fluids, congenital hypertrophic pyloric stenosis.